Rheumatoid factor Is-
1. Antibody
2. Mucopolysaccharide
3. Fatty acid
4. Glycoprotein

Correct answer: 1. Antibody

Explanation: In 80%of the cases of Rheumatoid arthritis have serum IgM autoantibodies that bind to fc portion of their own self IgG. These antibodies are called rheumatoid factor. Howeever the role of Rheumatoid factor in the Pathogenesis of the joint or extra articular lesions has not been established. Ref:Robbins basic pathology 9th edition page no 784,green box =Pathogenesis